All of the following are the causes of post menopausal bleeding except-
1. Senile vaginitis
2. Decubitus ulcer
3. Cervical erosion
4. None of the above

Correct answer: 4. None of the above

Explanation: Ans. is 'd' i.e., None of the aboveCauses of post menopausal bleedingo Senile endometritiso Atrophic endometriumo Endometrial hyperplasiao DUBo Genital malignancy such as carcinoma (cervix, endometrium, vagina, vulva & fallopian tubes), sarcoma uterus, granulose cell tumour of ovaryoUterine polypo Tubercular endometritiso Cervical erosions & polypo Senile vaginitiso Decubitus ulcero Retained or forgotten foreign body such as pessary or TUCDo Withdrawal bleeding following estrogen intakeo Urethral carbuncle, polyp, prolapse mucosa or carcinomao Unknown